What is TRUE with the findings of a single umbilical artery on examination of the umbilical cord
1. Insignificant
2. Equal in incidence in all races
3. No incidence of any association with major malformation of the fetus
4. More common in newborns of diabetic mothers

Correct answer: 4. More common in newborns of diabetic mothers

Explanation: The incidence of a single artery is significantly increased in newborns of diabetic mothers, and it occurs in white infants twice as often as in newborns of black women. The incidence of major fetal malformations when only one artery is identified has been reported to be as high as 18%, and there is an increased incidence of overall fetal mortality.